Rickettsial agent of Epidemic typhus is
1. R. prowazekii
2. R. typhi
3. R. tsutsugamushi
4. R. canorii

Correct answer: 1. R. prowazekii

Explanation: (R-prowazekii) (239-PK) (262- Park 20th)DiseaseRickettsial agentInsect vectorsMammalian reservoirsITyphus group a. Epidemic typhusR. prowazekiiLouseHumansb. Murine typhusR. typhiFleaRodentsc. Scrub typhusR. tsutsugamushiMiteRodentsIISpotted fever group a. Indian tick typhusR. conoriiTickRodents, dogsb. Rocky Mountain spotted feverR. rickettsiiTickRodents, dogsc. Rickettsial poxR. akariMiteMiceIIIOthers a. Q-feverC. burnetii-Cattle, sheep, goatsb. Trench feverRochalimaeaquintanaLouseHumans